Notching of ribs occurs in all, EXCEPT:
1. Coarctation of aorta
2. Neurofibromatosis
3. Hypothyroidism
4. Osteogenesis imperfecta

Correct answer: 3. Hypothyroidism

Explanation: Hypothyroidism is not associated with rib notching. Inferior rib notching is much commoner than superior notching. Causes of inferior rib notching are coarctation of aorta, tetralogy of Fallot, superior venacava obstruction, Blalock-Taussig shunt, neurofibromatosis. Causes of superior rib notching include, hyperparathyroidism, collagen vascular disease, rheumatoid arthritis, systemic lupus erythemoatosus, poliomyelitis, Marfan's syndrome, osteogenesis imperfecta. Ref: Differential Diagnosis in Conventional Radiology By Francis A. Burgener, Mati Kormano, Tomi Pudas, 2007, Page 310 ; Fundamentals of Diagnostic Radiology By William E. Brant, 2012, Page 519.